Ketone body formation without glycosuria is seen in ?
1. Diabetes mellitus
2. Diabetes insipidus
3. Starvation
4. Obesity

Correct answer: 3. Starvation

Explanation: Ans. is 'c' i.e., StarvationAmongst the given options, DM and starvation are the causes of ketosisDiabetes :- Ketosis with hyperglycemia and glycosuriaProlonged starvation :- Ketosis with low or normal glucose and without glycosuria.In diabetic Ketoacidosis:- (i) Positive Rothera's test (due to ketone bodies) (ii) Positive Benedict's test (due to presence of reducing sugar in urine)In Starvation ketosis:- (i) Postive Rothera's test (due to ketone bodies), (ii) Negative Benedict's test (no sugar in urine)